Sub-epidermal splitting is not found in:
1. Bullous pemphigoid
2. Pemphigus foliaceus
3. Dermatitis herpetiformis
4. Burns

Correct answer: 2. Pemphigus foliaceus

Explanation: B i.e. Pemphigus foliaceous